Which of the following is not a prognostic significance in choroidal melanoma
1. Presence of retinal detachment
2. Size of tumor
3. Cytology of tumor cella
4. Presence of extraocular extension

Correct answer: 1. Presence of retinal detachment

Explanation: Commonly choroidal melanomas break through the bruch 's membranes and lead to exudative retinal detachment. Hence, it is not considered as a prognostic factors Refer khurana 6/e 298